The enzyme studied in Triphyenyl tetrazolium chloride test (TTC) to detect myocardial infarction is
1. SDH
2. LDH
3. MDM
4. Lecithinase

Correct answer: 2. LDH

Explanation: Lactate dehydrodenase. TTC stain taken up depending on enzyme activity